Renal replacement therapy replaces all except:
1. Endocrine function
2. Urine output
3. Blood biochemistry
4. Ultrafiltration

Correct answer: 1. Endocrine function

Explanation: Ans: a (Endocrine function) Ref: Davidson, 20th ed, p. 491RENAL REPLACEMENT THERAPYThe facility to replace some functions of the kidney artificially by dialysis has been available since the 1960s. Such treatment is now routine in patients with acute or chronic renal failure. It does not replace the endocrine and metabolic functions of the kidney, but aims to maintain the plasma biochemistry (uraemic toxins, electrolytes and acid-base status) at acceptable levels. Dialysis can also remove fluid from the circulation (ultrafiltration) to maintain euvolaemia. The major side-effects of dialysis relate to haemodynamic disturbance caused by fluid removal or the extracorporeal circulation of blood, and reactions between blood and components of the dialysis system (bioincompatibility)